Anticancer macrolide is
1. Sirolimus
2. Cycloserine
3. Roxythromycin
4. Azithromycin

Correct answer: 1. Sirolimus

Explanation: Tacrolimus, sirolimus, everolimus are macrocyclic lactones or macrolides.Ref: KK Sharma 2nd ed. Pg: 885